Naltrexone is used to maintain abstinence following opioid withdrawal in addicts. It blocks all of the following featues of opioid use, except -
1. Euphoriant effects of opioids
2. Craving for opioids
3. Miosis
4. Respiratory depression

Correct answer: 2. Craving for opioids

Explanation: Ans. is 'b' i.e., Craving for opioids o Naltrexone can reverse all effects of opioids like sedation, analgesia, constipation, respiratory depression and miosis, but it does not reduce craving. "Craving for opioids may continue during naltrexone treatment" Principles of addiction medicine o It is interesting to know that naltrexone does not reduce craving for opioid, but it reduces craving for alcohol in chronic alcoholism